Which is a modified sweat gland _________
1. Meibomian gland
2. Gland of Zeis
3. Gland of Moll
4. All of the above

Correct answer: 3. Gland of Moll

Explanation: GLANDS OF EYELIDS 1. Meibomian glands: These are also known as tarsal glands and are present in the stroma of tarsal plate arranged vertically. They are about 30-40 in the upper lid and about 20-30 in the lower lid. They are modified sebaceous glands. Their ducts open at the lid margin. Their secretion constitutes the oily layer of tear film. 2. Glands of Zeis: These are also sebaceous glands which open into the follicles of eyelashes. 3. Glands of Moll: These are modified sweat glands situated near the hair follicle. They open into the hair follicles or into the ducts of Zeis glands. They do not open directly onto the skin surface as elsewhere. Image : glands in eyelids Reference :- A K KHURANA; pg num:-341